Most commonly amyloid deposits are seen in-
1. Spleen
2. Kindey
3. Liver
4. Heart

Correct answer: 2. Kindey

Explanation: harshmohan textbook of pathology 7th edition. *amyloidosis of kidney is most common and most serious because of ill effect on renal function.the deposits in kidney are found in most cases of secondary amyloidosis and in about one third cases of primary amyloidosis.